Cholera toxin effects are mediated by stimulation of which of the following second messengers
1. cAMP
2. cGMP
3. Ca44 -calmodulim
4. IP3/ DAG

Correct answer: 1. cAMP

Explanation: Ans. is 'a' i.e., cAMP . Effects of cholera toxin (enterotoxin) are mediated by activation of adenylate cyclase which produces elevated levels of intracellular cAMP. Elevated levels of cAMP inturn cause an ouylowing of ions and water to the lumen of intestine producing watery diarrhea.